All the following cause malignant hyperpyrexia except –
1. N2O
2. Halothane
3. Methyoxyflurane
4. Isoflurane

Correct answer: 1. N2O